AH the following cause Metabolic syndrome EXCEPT
1. Clozapine
2. Olanzapine
3. Respperidone
4. Ziprasidone

Correct answer: 4. Ziprasidone

Explanation: (D) Ziprasidone > Weight gain and its associated long-term complications can occur with extended treatment with most antipsychotic and antimanic drugs. Weight gain is especially prominent with clozapine and olanzapine; somewhat less with quetiapine; even less with fluphenazine, haloperidol, and risperidone; and is very low with aripiprazole, molindone, and ziprasidone . Adverse effects of weight gain likely include increased risk of new-onset or worsening of type 2 diabetes mellitus, hypertension, and hyperlipidemia.